Which of the following urinary findings is most characteristic of acute glomerulonephritis?
1. Proteinuria
2. Granular casts
3. Erythrocyte casts
4. Hyaline casts

Correct answer: 3. Erythrocyte casts

Explanation: Hematuria with dysmorphic RBCs, RBC casts, and protein excretion >500 mg/d is virtually diagnostic of glomerulonephritis. RBC casts form as RBCs that enter the tubule fluid and become trapped in a cylindrical mold of gelled Tamm-Horsfall protein.
Harrisson’s Principles of Internal Medicine Ed 19 Pg 294